Which of the following is the most common complication of TPN?
1. Catheter related complications
2. Acidosis
3. Acalculous cholecystitis
4. Hypokalemia

Correct answer: 1. Catheter related complications

Explanation: - Most common complication of central venous catheterization (CVC): catheter related sepsis - Most dangerous complication following CVC: pneumothorax